Primary mechanism responsible for cerebral protection effect of thiopentone is
1. GABA action, calcium channel block and free radicle removal
2. Increased cerebral blood flow
3. Decreased (lowered) cerebn metabolism
4. Reduces cerebral 02 demand by limiting CBF

Correct answer: 3. Decreased (lowered) cerebn metabolism

Explanation: C i.e. Decreased (lowered) cerebn metabolism Barbiturates (thiopental), primarily decreases cerebral metabolismQ resulting in a dose related depression of cevebral metabolic oxygen consumption (CMR02).Reduced CMRO2 causes progressive slowing of EEG, a reduction in rate of ATP consumption, cerebral vasoconstriction (reducing cerebral blood flow and intracranial tension) and protection from incomplete cerebral ischemiaQ. Thiopentone Sodium* Thiopentone is a yellow coloured powder used as 2.5 % solution at 5 mg/kg dose for smooth induction. It is ultrashort actingQ due to rapid redistributionQ. It is contraindicated in porphyria.Q.